Which of the following drugs deposited in the muscles
1. Verapamil
2. Digoxin
3. Adenosine
4. Phenytoin

Correct answer: 2. Digoxin

Explanation: (Digoxin) (499-KDT 6th)Cardie glycosides (Digitoxin, digoxin, lanatoside-C, Quabain)* All are concentrated in the heart (~ 20 times than plasma) skeletal muscle, liver and kidney* All are cumulative drugs